A male child of 15 years with a mental age of 9 years has an IQ off –
1. 50
2. 60
3. 70
4. 80

Correct answer: 2. 60